X-ray findings in cardiac failure are all of the following except:
1. Kerley B lines
2. Pleural effusion
3. Prominent lower lobe veins
4. Cardiomegaly

Correct answer: 3. Prominent lower lobe veins

Explanation: Ans. Prominent lower lobe veins